Small intestinal biopsy is specific for-
1. Tropical sprue
2. Celiac sprue
3. Whipple's disease
4. all

Correct answer: 3. Whipple's disease

Explanation: Ans. is 'c' i.e., Whipple'sDISEASE THAT CAN BE DIAGNOSED BY SMALL INTESTINAL MUCOSAL BIOPSY Diffuse specific ?Specific histopathologicalcharacteristic on small intestinal biopsyPatchy specific -The pathological features are specific but the characteristic features have a patchy distributionDiffuse nonspecific lesions ?These diseases present with characteristic histopathological features but these findings are not specific to the disease The same histopathological features can be seen in other diseases too. o Whipples diseaseAgammaglobulinemia o AbetalipoproteinemiaIntestinal lymphomaIntestinal lymphangiectasiaEosinophilic gastroenteritis o Amyloidosiso Crohn's diseaseInfection by one or more organismso MastocytosisCeliac sprueTropical sprueBacterial overgrowthFolate deficiencyVitamin B12 deficiencyRadiation enteritiso Zollinger Ellison syndromeProtein calorie malnutritionDrug induced enteritis